True statement about phase 2 clinical trials is ?
1. Large number of healthy volunteers are studied
2. Used to determine maximum tolerated dose
3. Used to determine efficacy
4. Used to determine toxicity

Correct answer: 3. Used to determine efficacy

Explanation: Ans. is 'c' i.e., Used to determine efficacy o Phase 2 trial is done to determine efficacy and safety. It involves small number of patients.